Elective cholecystectomy is
1. Clean contaminated
2. Clean
3. Dirty
4. Contaminated

Correct answer: 1. Clean contaminated

Explanation: Clean no viscus opened EX: thyroid, breast surgeries Clean-contaminated viscus opened, minimal spillage) Cholecystectomy, Gastric surgery Contaminated open viscus with spillage or inflammatory disease Inflamed appendix, rectal surgeries Dirty pus or perforation, or incision through an abscess I&d wound debridement